Forensic Identification utilizes
1. Lip prints
2. Lip Schutz bodies
3. Lip pits
4. Lip reading

Correct answer: 1. Lip prints